Brush burn is:
1. Graze abrasion
2. Imprint abrasion
3. Electric burn
4. Arborescent burn

Correct answer: 1. Graze abrasion

Explanation: Ans. Graze abrasion